Ventero lateral cordotomy for relief of pain in right lower limb due to cutting
1. Left ventral spinothalamic tract
2. Left lateral spinothalamic tract
3. Right ventral spinothalamic tract
4. Right lateral spinothalamic tract

Correct answer: 2. Left lateral spinothalamic tract

Explanation: Left Lateral spinothalamic tract carries pain fibre from right leg. And ventrolateral cordotomy leads to cut of lateral spinothalamic tract. Ref: Ganong's review of medical physiology; 23rd edition; pg:177